Patellar plexus is formed by which artery -
1. Descending genicular
2. Anterior tibial recurrent
3. Posterior tibial recurrent
4. Alloftheabove

Correct answer: 4. Alloftheabove

Explanation: Ans. is 'd' i.e., All of the above Anastomosis around the knee joint o It is also called as patellar network patellar anastomosis, genicular anastomose or rete articulare genus.It is divided into two parts -Superficial plexus: Lies in superficial fascia around patella and in fat behind patella.Deep part: Lies an femur and tibia around their adjoining articular surfaces. It is formed by:-A. Medial and above the condylesDescending genicular branch of femoral artery and its saphenous branch.Superior medial genicular.B. Medial and below the condylesSaphenous branch ofdescending genicular.Inferior medial genicular. C. Lateral andabovethecondylesDescending branch of lateral circumflex artery.Superior lateral genicular.D. Lateral and below the condylesInferiorlateralgenicularAnterior tibial recurrentPosterior tibial recurrentCircumflex fibular